The Canary System is able to measure defects in the tooth crystal structure with the effective probing volume of an area of:
1. 1.5 mm in diameter and up to 5 mm below the tooth surface
2. 2 mm in diameter and up to 5 mm below the tooth surface
3. 1.5 mm in diameter and up to 4 mm below the tooth surface
4. 2 mm in diameter and up to 4 mm below the tooth surface

Correct answer: 1. 1.5 mm in diameter and up to 5 mm below the tooth surface

Explanation: The Canary System is able to measure defects in the tooth crystal structure with the effective probing volume of an area of 1.5 mm in diameter and up to 5 mm below the tooth surface. It provides a Canary Number (ranging from 0-100) from an algorithm combining the PTR and LUM readings, which are directly linked to the status of the enamel or root surface crystal structure.
The Canary System divides signal strength and depth characteristics of the tooth into three zone.
The healthy zone (Canary Number 0-20) indicates no lesion depth with PLM.
The decay zone (Canary Number 21-70) indicates lesions with depth of 532 ± 322 µm.
In the advanced decay zone (Canary Number 71-100) the lesions indicates a depth of 1057 ± 441 µm.
The Canary System uses energy conversion technology (PTR-LUM) to image and examine the tooth. Pulses of laser light are aimed at the tooth, and the light is then converted to heat (Photothermal Radiometry or PTR) and light (luminescence or LUM), which are emitted from the tooth surface in response to the modulated pulses.